Ribosomes are attached to -
1. Nucleus
2. RER
3. Smooth ER
4. Mitochondria

Correct answer: 2. RER

Explanation: Ans. is 'b' i.e., RER Ribosomeso Ribosomes are the actual sites of protein synthesis. The ribosomes are small granules of RNAs. Ribosomes are usually occur in clusters called polyribosomes attached to one mRNA molecule, an arrangement that increases the rate of polypeptide synthesis. There are two types of polyribosomes : -Free (cytosolic) : - Present free in cytosol.Bound polyribosome : - Present on rough ER.